Biosafety precaution grade III is practiced in all of the following organisms except ?
1. Human influenza virus
2. St. louis encephalitis virus
3. Coxiella burnetti
4. Mycobacterium tuberculosis

Correct answer: 1. Human influenza virus

Explanation: Human influenza virus is Biosafety grade II virus